Subcortical dementia is seen in all Except:
1. Parkinsonism
2. Alzheimers disease
3. Wilsons disease
4. Huntingtons chorea

Correct answer: 2. Alzheimers disease

Explanation: DEMENTIA SUBCORTICAL CORTICAL 1 Characteristic Parkinson disease Huntington disease Wilson 's disease spinocerebellar degeneration corticobasal degeneration normal pressure hydrocephalus Alzheimer Vascular Frontotemporal Lewy Body Dementia 2 Pathology* Prominent changes in striatum , thalamus Prominent changes in cortical association areas 3 Severity Mild to moderate More severe 4 Speed of cognition Slow Normal 5 Memory deficit * Initially failure of retrieval storage and recall deficit 6 Language Less affected initially Early aphasia 7 Gnostic -practice abilities Less affected initially Affected early 8 Personality * Apathetic , inert Indifferent 9 Mood * Depressed Euthymic 10 Abnormal movements Chorea , trembling , tics Rare 11 Motor abnormalities* Extrapyramidal Uncommon, gegenhalten 12 Posture Stooped Normal 13 Coordination Affected Normal 14 Reversibility Reversible Unlikely Reference: Page No.25 chap 2 clinical features of dementia